Band shaped keratopathy seen in ?
1. Chronic uveitis
2. RA
3. SLE
4. DLE

Correct answer: 1. Chronic uveitis

Explanation: Band keratopathy common in chronic uveitis,especially blind shrunken eyes, and in children suffering from Still disease. REF:Parsons' Disease of eye,20th edition,page no.201.